All of the following conditions are immediate priorities in the WHO's "Vision - 2020: The Right to sight" except-
1. Trachoma
2. Epidemic conjunctivitis
3. Cataract
4. Onchocerciasis

Correct answer: 2. Epidemic conjunctivitis

Explanation: WHO has identified following five diseases for global elimination: -


Trachoma blindness and transmission
Cataract blindness
Onchocerciasis
Avoidable causes of childhood blindness
Refractive errors and low vision